Osteoarthritis does not affect:
1. Knee joint
2. Hip joint
3. Interphalangial joint
4. Metacarpophalangial joint

Correct answer: 4. Metacarpophalangial joint

Explanation: Ans: d (Metacarpophalangeal joint)Ref: Maheshwari Ortho, 3rd ed, p. 252 & Harrison, 15thed, p. 1990